A dimensionally accurate reproduction of a part of the oral cavity or extraoral facial structures that is produced in a durable hard material:
1. Model
2. Die
3. Cast
4. Impression

Correct answer: 3. Cast

Explanation: Cast - A dimensionally accurate reproduction of a part of the oral cavity or extraoral facial structures that is produced in a durable hard material.
Ref: Phillips 12 ed page no 151